All of the following are true regarding the anatomical relationships of the kidney and ureter, EXCEPT:
1. Posterior relationships include the diaphragm, the psoas major and quadratus lumborum muscles
2. The upper pole of the kidney may be in contact with the pleura in the vertebral coastal trigone
3. The ureter enters the hilus in front of the renal vein
4. In the female, the ureter passes through the uterosacral ligament and then the lateral cervical ligament before entering the bladder

Correct answer: 3. The ureter enters the hilus in front of the renal vein

Explanation: The kidneys lie along the vertebral column on the psoas major muscle. Posterior relationships include the diaphragm, the psoas major and quadratus lumborum muscles, and the branches of the lumbar plexus and the twelfth rib. The upper pole of the kidney may be in contact with the pleura in the vertebral coastal trigone.The ureter, and the renal vessels and nerves enter the kidney at the hilus. The ureter lies behind the renal vessels. The ureter begins at the renal hilum and descends retroperitoneally, crossing the common iliac artery, running along the lateral wall of the pelvis, then turning medially to the bladder. In the female, the ureter passes through the uterosacral ligament and then the lateral cervical ligament before entering the bladder. The renal arteries arise from the aorta below the origin of the superior mesenteric artery. The right renal artery arises from the aorta, passes behind the inferior vena cava, and then enters the kidney at the hilum. Both renal arteries give off branches to suprarenal glands before entering the kidney. Ref: Morton D.A., Foreman K.B., Albertine K.H. (2011). Chapter 11. Posterior Abdominal Wall. In D.A. Morton, K.B. Foreman, K.H. Albertine (Eds), The Big Picture: Gross Anatomy.